Following is true about spinal injuries except ?
1. Forms 6% of all trauma cases
2. Neurodeficit is present in 50% of all the cases
3. Traumatic injuries most commonly affect the cervical spine
4. Cervical spine is more prone to fracture than dislocation

Correct answer: 4. Cervical spine is more prone to fracture than dislocation

Explanation: Ans. is 'd' i.e., Cervical spine is more prone to fracture than dislocation Spinal injuries: Spinal injury occurs in about 6% of all trauma cases.More than 50% of patients with spinal column injury have neurological deficit.Motor vehicular accidents and fall from height are the two most common modes of spine injuries :-Fall from height :- Most common cause in developing countries.Road traffic accident :- Most common cause in developed countries.Traumatic spine injuries most commonly affect cervical spine (50-60%) followed by dorsolumbar junction.The direction and size of the articular facets forming the facet joints is different in different parts of the spine. o In cervical spine, they are short and more horizontally placed; therefore, cervical spine is more prone for dislocation without associated fracture.In lower spine they becomes more stouter and more vertical, maximum in lumbar spine. Therefore, pure dislocation without fracture does not occur in lumbar region.